Desensitization is a type of ?
1. Psychotherapy
2. Psychoanalysis
3. Behavioral therapy
4. None

Correct answer: 3. Behavioral therapy

Explanation: Ans.C. Behavioral therapyTypes of behavioral therapy are : - Systemic desensitization, therapeutic graded exPosure, exPosure & response prevention, flooding, aversion therapy, and operant conditioning.